A young man with T.B presents with massive reccurere haemoptysis. For angiography treatment which vascular structure should be evaluated first
1. Pulmonary artery
2. Bronchial artery
3. Pulmonary vein
4. Superior vena cava

Correct answer: 2. Bronchial artery

Explanation: More significant hemoptysis can result from the proximity of the bronchial artery and vein to the air-way, with these vessels and the bronchus running together in what is often referred to as the bronchovascular bundle. Ref Harrison 19th edition pg 245-246